Loeffler's syndrome is characterized by -
1. Transient, migratory pulmonary infiltrations
2. Fibrosis in the pulmonary apices
3. Fibrosis in the base of one or both lungs
4. Miliary mottling

Correct answer: 1. Transient, migratory pulmonary infiltrations